Regarding ketamine all are true except
1. Ketamine acts on NMDA receptors in brain
2. Indirectly acting sympathomimetic agent
3. Contraindicated in shock
4. Agent of choice in asthma patients.

Correct answer: 3. Contraindicated in shock

Explanation: Ketamine being sympathomimetic, is agent of choice in shock.